Which is not true about legionnaire pneumonia:
1. Seen mainly in immunocompromised person
2. Erythromycin is drug of choice
3. Common in patients with hairy cell leukemia
4. Smoking and alcohol are risk factor.

Correct answer: 2. Erythromycin is drug of choice

Explanation: Answer is B (Erythromycin is the drug of choice): 'Azithromycin, Clarithromycin or a fluoroquinolone (eg Levofloxacin) and not erythromycin is the drug of choice for treatment legionellosis because of their excellent intracellular penetration and in vitro activity as well as desirable pharmacokinetic properties that permit oral administration and once or twice daily dosing - Agent Disease First choice Second choice Third choice Legionella Legionnaire's disease Azithromycin Erythromycin * Trimethoprim penumophilia Fluoroquinolone sulfomethoxazole * Doxycycline